ARDS is characterised by all except
1. Decreased surfactant
2. Alveolar transudate
3. Decreased lung compliance
4. PaO2 /FiO2 < 200

Correct answer: 2. Alveolar transudate

Explanation: In ARDS the type1 pneumocytes and alveolar capillary endothelial cells are injured leading to the loss of normally tight alveolar barrier for fluid and macromolecules. Edema fluid rich in protein accumulates in alveolar spaces leading to decrease in compliance of lung. source : Harrison 20TH edition page 2032